Sucralfate does not interfere with the absorption of:
1. Ciprooxacin
2. Phenytoin
3. Phenoxy methyl penicillin
4. Digoxin

Correct answer: 3. Phenoxy methyl penicillin

Explanation: Sucralfate forms a viscous layer in the stomach that prevents the absorption of other drugs such as digoxin, phenytoin, quinolone antibiotics, ketoconazole, and cimetidine.
Sucralfate comprises of sucrose octasulfate bound to aluminum hydroxide. In the presence of an acidic environment, sucralfate produces a sticky polymer which gets attached to the ulcer crater for at least 6 hours.
Other indications for sucralfate besides acid peptic disease:
Oral mucositis (Radiation and aphthous ulcers)
Bile reflux gastropathy
Side Effects
A most common side effect of sucralfate is constipation.
Bezoar formation can occur with consumption of sucralfate due to the sticky nature of the drug.
Bezoar formation is more prone to occur in patients with gastroparesis.